Treatment of ALL includes use of:
1. Vincristine
2. L-asparginase
3. Prednisolone
4. All of the above

Correct answer: 4. All of the above

Explanation: Treatment of ALL: -Induction - 4-6 weeks. Drugs used are: Vincristine Anthracycline Prednisolone L- Asparaginase - CNS prophylaxis - Intrathecal Methotrexate +- Radiotherapy - Intensification - Methotrexate, L- Asparaginase, Cyclophosphamide - Maintenance phase - 2-2.5 years - oral 6- MP & Methotrexate.